The following Bacteria are most often associated with Acute Neonatal Meningitis except
1. Escherichia coli
2. Streptococcus agalactiae
3. Neisseria meningitidis
4. Listeria monocytogenes

Correct answer: 3. Neisseria meningitidis

Explanation: The most common causes of neonatal meningitis is bacterialinfection of the blood, known as bacteremia (specifically group B streptococci (Streptococcus agalactiae), Escherichia coli, and Listeria monocytogenes). Reference: GHAI Essential pediatrics, 8th edition